Which of the following is/are non–depolarizing muscle relaxant(s) –
1. Mivacurium
2. Halothane
3. Desflurane
4. Isoflurane

Correct answer: 1. Mivacurium